Middle mediastinal masses include all the following except:
1. Bronchogenic cyst
2. Ascending aortic aneurysm
3. Pericardial cyst
4. Ganglioneuroma

Correct answer: 4. Ganglioneuroma

Explanation: Middle Mediastinum Cysts (MC in middle mediastinum): - Pericardial (MC) - Bronchogenic - Entergenous - Neuroenteric Vascular masses (aneurysm) LN enlargement and lymphoma Mesenchymal tumors Pheochromocytoma